Mineral oils are used in mosquito control measure as a:
1. Personal protection methods
2. Larvicide
3. A dulticide
4. Space spray

Correct answer: 2. Larvicide

Explanation: Larvicide